NGO eye hospital make which stage of NPCB
1. Primary
2. Secondary
3. Tertiary
4. Not included

Correct answer: 2. Secondary

Explanation: NGO eye hospital comes under secondary stage of NPCB Organization of NPCB Central - Ophthalmic section-NPCB-managed by DGHS MHFW New Delhi | State - State Health Society-State Ophthalmic cell managed by DHS | District - District Health Society-Managed by DPM | Tertiary-RIO, Centre for excellence, Medical colleges | Secondary-DH and NGO eye hospital | Primary- Sub-district level hospitals/CHCs/Mobile ophthalmic Units, Upgraded PHCs